Most commonly retained primary tooth is:
1. Maxillary first molar.
2. Mandibular first molar.
3. Maxillary lateral incisor.
4. Mandibular 2nd molar.

Correct answer: 4. Mandibular 2nd molar.